All of the following can cause a white pupillary reflex except
1. Toxocara endophthalmitis
2. Retinal detachment
3. PHPV
4. Congenital Glaucoma

Correct answer: 4. Congenital Glaucoma

Explanation: Congenital glaucoma The most frequent cause of leukocoria is congenital cataract Mneumonic: imp ones can be remembered by " cat executes RAT on POLO white car." Cat for congenital cataract Rat for all retinal pathologies eg; retinoblastoma, ROP, RD, Retinal dysplasia. POLO for PHPV. White for white reflex.